Which drug should not be given in pregnancy ?
1. Labetalol
2. ACE inhibitors
3. Hydralazine
4. Methyl dopa

Correct answer: 2. ACE inhibitors